Causes of unilateral clubbing include all of the following, Except
1. Congenital cyanotic heart disease
2. Panicoast tumor
3. Aortic Ancurym
4. Brachial AV fistulas

Correct answer: 1. Congenital cyanotic heart disease

Explanation: Answer is A (Congenital Cyanotic Heart Disease) : Congenital cyanotic heart disease is a cause for bilateral clubbing Causes of Unilateral Clubbing Aneurysm of Aorta, innonimate artery, suhclan artery or axillary artery Brachial AV fistulas / malformations Infected arterial grafts Pancoast tumors Unilateral Elythromelalgia